Which of the following is false regarding brittle bone disease?
1. It is caused by defects in type 2 collagen
2. Predominantly autosomal-dominant inheritance is seen
3. Blue sclerae and deafness may be associated
4. Bisphosphonates are useful in the treatment

Correct answer: 1. It is caused by defects in type 2 collagen

Explanation: Brittle bone disease is another name for osteogenesis imperfecta (OI). It is due to defects in type 1 collagen, not type 2 collagen. There are 12 types of OI, with type 1 being the most common. Triad of fragile bones, blue sclera and deafness is known as van der Hoeve syndrome. Treatment includes bisphosphonate therapy and orthopedic rehabilitation. Ref: Nelson textbook of pediatrics 21st edition pgno: 3737